Receptor for BDNF -
1. TrK - A
2. TrK - B
3. TrK - C
4. None

Correct answer: 2. TrK - B

Explanation: Ans. (b) TrK-B(Ref: Ganong, 25th ed/p.95)NeurotrophinReceptorNerve growth factorTrk ABrain derived neurotrophic factorTrk BNeurotrophin 3Trk C, Trk BNeurotrophin 4/5Trk B